Which of the following features is shared in common between lymphocyte - rich and lymphocyte predominant types of Hodgkin's lymphoma -
1. Paucity of diagnostic RS cells
2. EBV is associated
3. RS cells are CD 20 positive
4. Good prognosis

Correct answer: 4. Good prognosis